The most difficult source of infection among the following to control is
1. airborne
2. human to human
3. vector borne
4. vertical

Correct answer: 1. airborne